All of the following drains into coronary sinus EXCEPT:
1. Great cardiac vein
2. Anterior cardiac vein
3. Middle cardiac vein
4. Left posterior ventricular vein

Correct answer: 2. Anterior cardiac vein

Explanation: ANSWER: (B) Anterior cardiac veinREF: Keith L. Moore, 4th edition, page 96, 97Repeat from December 2009 VENOUS DRAINAGE OF HEART:The heart is drained mainly by veins that empty into the coronary sinus and partly by small veins that empty directly into the chambers of the heart. The coronary sinus, the main vein of the heart, is a wide venous channel that runs from left to right in the posterior part of the coronary groove. The coronary sinus receives the great cardiac vein at its left end and the middle and small cardiac veins at its right end. The left posterior ventricular vein and left marginal vein also open into the coronary sinus.The small anterior cardiac veins empty directly into the right atrium and the smallest cardiac veins (L. venae cordisminimae) are minute vessels that begin in the capillary beds of the myocardium and open directly into the chambers of the heart, chiefly the atria. Although called veins, they are valve less communications with the capillary beds of the myocardium and may carry blood from the heart chambers to the myocardium.